In embalmingr solution is given through ?
1. Veins
2. Arteries
3. Lymphatics
4. none of above

Correct answer: 2. Arteries

Explanation: Emblamings may be arterial emblaming and cavity emblaming.